"Porters of Infection" are -
1. Anopheles
2. Housefly
3. Aedes
4. Cockroaches

Correct answer: 2. Housefly

Explanation: Houseflies are commonest and familiar insects which live close to man. House flies are exceptionally efficient mechanical spreaders of disease. They transport microorganisms on their feet and hairy leg. Pathogenic organisms, ova, and cysts have been recovered from bodies of the housefly. House flies are called 'porters of infection'. Most important are: Musca domestica,M.vicinia,M.nebulo,M.sorbens. REFERENCE: PARK'S TEXTBOOK OF PREVENTIVE AND SOCIAL MEDICINE, 25TH EDITION, PG NO. 834